Which of the following is drug of choice for febrile seizures
1. Carbamazepine
2. Rectal diazepam
3. Valproic acid
4. Magnesium sulphate

Correct answer: 2. Rectal diazepam

Explanation: An antiparkinson medication is a type of drugwhich is intended to treat and relieve the symptoms of Parkinson's disease. Most of these agents act by either increasing dopamine activity or reducing acetylcholine activity in the central nervous system. Ref: KATZUNG 13TH ED.